True statement regarding specific death rates
1. Specific for age and sex
2. Identify particular group or groups "at risk" for preventive action
3. Find out cause or disease specific
4. All of the above

Correct answer: 4. All of the above

Explanation: (A1I of the above) (54- Park 20th)Specific death rates - may be (a) cause or disease specific e.g. TB, cancer, accidents (b) Related to specific groups e.g. age specific, sex specific, age and sex specific etc.* Rates can also be made specific for many others variables such as income, religion, race, housing etc.* Specific death rates can help us to identify particular groups or groups "at risk" for preventive action. They permit comparisons between different causes within the same populations* Specific death rates are obtained mainly in countries in which a satisfactory civil registration system operates and in which a high proportion of death is certified medically.